Mechanism of resistance of tetracyclines is due to?
1. Drug efflux mechanism
2. Development of inactivating enzymes
3. DNA methylation
4. Cell wall alteration

Correct answer: 1. Drug efflux mechanism

Explanation: Mechanism of Resistance Examples Enzymatic breakdown A: Aminoglycosides B: Beta lactams C: Chloramphenicol Decreased permeability Aminoglycosides Efflux pumps Tetracyclines Altered metabolic pathway Sulfonamides Altered target MRSA Vancomycin, Fluoroquinolones